Drug having proven efficacy in bipolar depression is:
1. Carbamazepine
2. Valproate
3. Tiagabine
4. Lamotrigine

Correct answer: 4. Lamotrigine

Explanation: This newer anticonvulsant is now an approved drug for bipolar disorder, but is not recommended for acute mania. It is especially useful in rapidly cycling bipolar depression. Randomized trials have demonstrated its efficacy, both as monotherapy as well as adjuvant to lithium. It carrys minimal risk of inducing mania. The tolerability profile of lamotrigine is favourable. Ref: KD Tripati 8th ed.